Which is not associated with jaundice in infancy?
1. Hereditary fructose intolerance
2. Maple syrup urine disease
3. Galactosemia
4. Crigler- Najjar syndrome

Correct answer: 2. Maple syrup urine disease

Explanation: Jaundice is not seen in maple syrup urine disease. It is seen in rest of the three conditions.Reference: Nelson Textbook of Paediatrics; 20th edition